Invasive amoebiasis can be best diagnosed by ?
1. ELISA
2. Countercurrent immunoelectrophoresis
3. Indirect hemaglutination test
4. Complement fixation test

Correct answer: 1. ELISA

Explanation: Ans. is 'a' i.e., ELISA Diagnosis of amoebiasis Diagnosis is made by :? 1) Stool examination For amoebic colitis definitive diagnosis is made by the demonstration of hematophagous trophozoites. Fecal findings are :- Positive test for heme. Paucity (lack) of neutrophils (pus cells). Presence of amebic cysts or trophozoites Charcot-leyden crystals. Charcot-leyden crystals are also seen in whipworm (trichuris), Ascaris pneumonia, and bronchial asthma. 2) Serological tests These test are most useful for invasive amaebiasis (e.g. amaebic hepatitis/liver abscess). Most commonly used test is indirect hemagglutination (IHA). But ELISA is best (sensitive and specific) test and now replacing IHA. 3) Exploratory technique Exploratory puncture is one of the most practical methods for corfirming the diagnosis of amboebic liver abscess. The aspirated pus may be examined for the demonstration of trophic forms (trophozoites) of E. histolytica. Aspirations from the center of amoebic liver abscess do not show trophozoites, while aspirates from the margins show trophozoites.